Which of the following is active in dephosphorylated state?
1. Glycogen Synthase
2. Pyruvate Carboxylase
3. Glycogen Phosphorylase
4. PEPCK

Correct answer: 1. Glycogen Synthase

Explanation: Glycogen Synthase is enzyme of Glycogen Synthesis, which is an Anabolic pathway. So this enzyme is active in Dephosphorylated state. Rest all enzymes are involved in Catabolic pathways, so they are active in Phosphorylated state. Pyruvate Carboxylase is involved in Gluconeogenesis, which is a Catabolic pathway. Glycogen Phosphorylase is involved in Glycogenolysis, which is a Catabolic pathway. PEPCK- Phospho Enol Pyruvate Carboxy Kinase, is also involved in Gluconeogenesis, which is a Catabolic pathway. Extra Information: Enzyme Active in Dephosphorylated state Enzyme Active in Phosphorylated state Glycogen Synthase Glycogen Phosphorylase Acetyl CoA Carboxylase Phosphorylase Kinase Pyruvate Dehydrogenase Key enzymes of Gluconeogenesis HMG CoA Reductase HMG CoA Reductase Kinase PFK-II (Phosphofructokinase-II) Citrate Lyase